Principle of Bone dilatation under the principles of exodontia is primarily utilized by:
1. Forceps
2. Elevator
3. Any of the above
4. None

Correct answer: 1. Forceps

Explanation: Dilatation of Alveolus| Bony Socket

Expansion of Bony Socket
Principle of bone dilatation.
1º utilized By : Forceps
Less by elevators